Sertoli cells in male secrete -
1. Testosterone
2. Dehydroepiandrosterone
3. MIH
4. Progesterone

Correct answer: 3. MIH

Explanation: Ans. is 'c1 i.e., MIHo Sertoli cells are stimulated by FSH and secreteAndrogen binding protein (ABP)InhibinMullerian inhibiting substance (MIS) or Mullerian inhibiting hormone (MIH)o Leydig cells are stimulated by LH and secrete androgens (testesterone), dihydrotestosterone, androstendione, dehydroepiandrosterone.